All of the following structures pass through superior orbital fissure EXCEPT:
1. Inferial ophthalmic vein
2. Lacrimal nerve
3. Trigeminal nerve
4. Nasociliary nerve

Correct answer: 3. Trigeminal nerve

Explanation: Ans. C Trigeminal nerveRef: Gray's 41st ed. pg. 667, BDC, 6th ed. Vol-III pg. 206-7Structures passing through superior orbital fissureSuperior orbital fissureUpper part/ LateralMiddle part (through tendinous ring)Lower/Medial part* Superior Opthalmic vein* Lacrimal nerve* Frontal nerve* Trochlear nerveMn - "Superior LFT"* Nasociliary nerve* Occulomotor nerve* Abducent nerveMnemonic NOA"* Inferior Opthalmic vein* Sympathetic nerves around internal carotid arteryMn: Inferior sympathy Extra MileStructures passing through Inferior orbital fissure* Zygomatic branch of maxillary nerve* Infraorbital nerve & vessels* Rami of Pterygoid ganglion* Communicating vein b/w inferior ophthalmic & pterygoid plexus of veins.Mn-"ZIPC"